Disease transmitted from men to animals:
1. Antropozoonoses
2. Zooanthroponoses
3. Amphixenoses
4. Aptozoonoses

Correct answer: 2. Zooanthroponoses

Explanation: Ans. b. Zooanthroponoses